Potts fracture is an eponym used for -
1. Bimalleolar ankle fracture
2. Trimalleolar ankle fracture
3. Fracture of distal end radius
4. d Pathological fracture in osteomalacia

Correct answer: 1. Bimalleolar ankle fracture

Explanation: Ans. is 'a' i.e., Bimalleolar ankle fracture * Pott's fracture: Bimalleolar ankle fracture.